The most sensitive index for renal tubular function is
1. Specific gravity of urine
2. Blood urea
3. GFR
4. Creatinine clearance

Correct answer: 1. Specific gravity of urine

Explanation: The main function of renal tubules is the concentration of urine and this can be measured by the specific gravity of urine.